All of the following are limitations of typical tricyclic antidepressants EXCEPT:
1. Narrow safety margin
2. Low oral bioavailability
3. Frequent side effects
4. Long latent period for response

Correct answer: 2. Low oral bioavailability

Explanation: (Ref: KDT 6/e p443, 444) TCAs have very good oral absorption These agents have narrow therapeutic index and thus low safety margin. Sedation and anticholinergic adverse effects are seen frequently with the use of TCAs. Antidepressant actions of both TCAs as well as SSRIs take several weeks to manifest.